Vomer-sphenoidal rostrum junction is -
1. Syndesmosis
2. Synostosis
3. Schindylesis
4. Gomphosis

Correct answer: 3. Schindylesis

Explanation: Vomer-sphenoid rostrum junction is schindylesis type of suture.